An ABG analysis shows:pH 7.2, raised pCO2, decreased HCO3: Diagnosis is :
1. Respiratory acidosis
2. Compensated metabolic acidosis
3. Respiratory and metabolic acidosis
4. Respiratory alkalosis

Correct answer: 3. Respiratory and metabolic acidosis

Explanation: Ref Harrison 19 th ed pg 316-17 There is acidosis ( pH<7.35) Raised PCO2 indicates that change in CO2 is in keeping with change in pH.the respiratory component is therefore primary DecreasedHCO3 indicates that change in HCO3 is also primary